The sequence of oxygenated blood from the placenta to the fetal heart is ________
1. Umbilical artery - Inferior vena cava - ductus venosus - right atrium - left atrium
2. Umbilical artery - Superior vena cava - right atrium - ductus arteriosus - left atrium
3. Umbilical vein - ductus venosus - inferior vena cava - right atrium - left atrium
4. Umbilical vein - ductus arteriosus - superior vena cava - right atrium - left atrium

Correct answer: 3. Umbilical vein - ductus venosus - inferior vena cava - right atrium - left atrium

Explanation: The sequence of oxygenated blood flow from the placenta to the fetal heart is Umbilical vein - ductus venosus - inferior vena - right atrium - left atrium. Ref: Nelson textbook of pediatrics 21st edition pGno: 2345